Peak level of plasma progesterone in the luteal phase :
1. 1ng/ml
2. 10ng/ml
3. 15ng/ml
4. 30ng/ml

Correct answer: 3. 15ng/ml

Explanation: Serum values of Progesterone : Follicular Phase: < 1 ng/ml Midluteal phase: 5-15 ng/ml (day 22nd of menstrual cycle) Reference: Clinical Endocrinologic Gynecology and Infertility, Eighth edition; Chapter 6